Average rate of cervical dilation is :
1. 1 cm/hour
2. 2 cm/hour
3. 3 cm/hour
4. 4 cm/hour

Correct answer: 1. 1 cm/hour

Explanation: 1 cm/hour